Which of the following is the classic CT appearance of an acute subdural hematoma –
1. Lentiform–shaped hyperdense lesion
2. Cresent–shaped hypodense lesion
3. Cresent–shaped hyperdense lesion
4. Lentiform–shaped hypodense lesion

Correct answer: 3. Cresent–shaped hyperdense lesion

Explanation: Subdural hematoma


Cresent (concavo-convex) shaped
Hyperdense (2/3) or mixed (1/3) in acute cases
Isodense in subacute
Hypodense in chronic